The fold of Treves is -
1. The fold of mucous membrane projecting into the lumen of the rectum
2. the ilio-appendicular fold of peritoneum
3. The fold of mucous membrane around the papilla of Vater
4. The fold of peritoneum over the inferior mesenteric vein

Correct answer: 2. the ilio-appendicular fold of peritoneum

Explanation: Ans. is 'b' i.e., The ileo-appendicular fold of peritoneum.